Which of the following terms can be used for brain injury:
1. Concussion.
2. Contusion.
3. Laceration.
4. All of the above.

Correct answer: 4. All of the above.